Cholera like symptoms is produced by which of the following poisons
1. Arsenic
2. Organophosphorus
3. Lead
4. Rat killer

Correct answer: 1. Arsenic

Explanation: Gastroenteric type: This is the common form of poisoning. Symptoms start by half an hour to 1 hour after ingestion. There will be abdominal pain, intense thirst and vomiting. Diarrhea starts which is soon accompanied by tenesmus. Stools are expelled frequently and involuntarily. Stools are colorless, odorless and watery resembling rice water stools of cholera, later becomes dark coloured and bloody. Ref: FORENSIC MEDICINE AND TOXICOLOGY Dr PC IGNATIUS THIRD EDITION PAGE 420